Not an Intra-articular fracture:
1. Rolando fracture
2. March fracture
3. Bennett's fracture
4. Barton's fracture

Correct answer: 2. March fracture

Explanation: Ans. b. March fractureMarch fracture: Fatigue fracture of shaft of second or third metatarsalRolando fracture is a three part or comminuted intraarticular fracture-dislocation of the base of thumb.Pilon fracture: It is a communicated intra-articular fracture of the distal end of the tibiaBennett's fracture: If is an oblique intra-articular fracture of the base of the first metacarpal with subluxation of the trapezoid' metacarpal joint"Barton's fracture (Marginal fracture): Intra-articular fractures through the distal articular surface of the radius, taking a margin, anterior or posterior, of the distal radius with the carpals, displaced anteriorly or posteriorlyHoffa fractures are intra-articular and are characterised by a fracture in the coronal plane